All of the following is true about Voriconazole except:
1. It is the drug of choice for invasive aspergillosis
2. It can cause visual disturbances
3. It can also lead to QT prolongation
4. It is the only azole used in treatment of mucormycosis

Correct answer: 4. It is the only azole used in treatment of mucormycosis

Explanation: All azoles are contraindicated in mucormycosis except "Posaconazole"